Desired parameter for control of HT -
1. Cholesterol/HDL < 3.5
2. HDL / cholesterol ration < 3.5
3. LDL / cholesterol > 10 mg%
4. HDL < 30 mg%

Correct answer: 1. Cholesterol/HDL < 3.5

Explanation: Desired parameter for control of HT

Cholesterol / HDL ratio → A ratio of less than 3.5 has been recommended as a clinical goal for CHD prevention.
HDL should be more than 40 mg/dl. (It has been changed in 22nd /e of Park. Previously recommended level was more than 30 mg/dl).
Cholesterol level 220 mg/d1 or less.